Splenectomy is not done in:
1. Trauma
2. Tuberculosis of the spleen
3. Hereditary spherocytosis
4. Splenic abscess

Correct answer: 2. Tuberculosis of the spleen

Explanation: Ans. B: Tuberculosis of the spleen The common indications for splenectomy includes 1) trauma resulting from injury/ major surgical procedure; 2) to reduce anemia/ thrombocytopenia in spherocytosis, ITP etc. Splenectomy is not normally required and is made difficult by the inflammatory adhesions The treatment of splenic abscess involves that of the underlying cause and drainage of the splenic abscess by percutaneous means under radiological guidance (at times, splenectomy may be indicated)